Limit of eccentricity of air rotor bur is
1. 0.01 mm
2. 0.04 mm
3. 0.02 mm
4. 0.03 mm

Correct answer: 3. 0.02 mm